MMR is a -
1. Rate
2. Ratio
3. Proportion
4. None

Correct answer: 2. Ratio

Explanation: Park's textbook of preventive and social medicine 23rd edition. *Maternal mortality ratio is defined as (total no of female deaths due to complications of pregnancy,childbirth or within 42 days of delivery from puerperal causes in an area during a given year /total no of live births in the same area and year)x1000.